A child presented with a history of ingestion of some unknown plant and developed mydriasis, tachycardia, dry mouth, warm skin and delirium. Which of the following group of drugs is likely to be responsible for the symptoms of this child?
1. Anticholinergic
2. Sympathomimetic
3. Opiod
4. Benzodiazepine

Correct answer: 1. Anticholinergic

Explanation: Ref:KD Tripathi pharmacology 7th edition (page.no: 114,115) Actions of Anticholinergic drugs are CNS stimulation and Delirium CVS: the prominent effect is tachycardia by abbretes refractory period of AV node and facilitates AV conduction Gland; decrease salivary, tracheobronchial and lacrimatory secretion Smooth muscle: decrease tone and contraction Eye; mydriasis by contraction of the longitudinal ciliary muscle Rise in body temperature (cause warm skin)